Common precursor of mineralocorticoid, glucocorticoids and sex steroids:
1. Pregnenolone
2. a- hydroxyprogesterone
3. Dehydrotesterone
4. Deoxycorticoid

Correct answer: 1. Pregnenolone

Explanation: Ans. (a) Pregnenolone(Ref: Ganong, 25th ed/p.362)Adrenal steroid hormones are derived from cholesterolIn the mitochondria, cholesterol is converted to pregnenolone by cholesterol desmolase, also called as side- chain cleavage enzyme